Which of the following is a component of the visual pigment rhodopsin:
1. 13-Carotene
2. Retinal
3. Retinol
4. Retinoic acid

Correct answer: 2. Retinal

Explanation: B i.e. Retinal